Incidence of gall stone is high in -
1. Partial hepatectomy
2. Ileal resection
3. Jejunal resection
4. Subtotal gastrectomy

Correct answer: 2. Ileal resection

Explanation: Ileal resection or ileal disease decreases enterohepatic circulation of bile salts (or acids). This decreases the biliary secretion of bile salts, thus increasing the cholesterol bile acid ratio (lithogenic bile). Ref - Baileg and love 27e Topic -Gallbladder and Bileducts p1188